Antagonist of heparin is :
1. Protamine
2. Vitamin K
3. Warfarin
4. Fresh frozen plasma

Correct answer: 1. Protamine